Pomphylox affects
1. Palm & soles
2. Groins
3. Scalp
4. Trunk

Correct answer: 1. Palm & soles

Explanation: POMPHOLYX Also known as Dihydrotic eczema/ vesicular palmoplantar eczema. Pompholyx is an acute and recurrent dermatitis of hands and feet,characterised by pruritus and vesicular eruption. Etiology:-exactly not known. Endogenous eczemaBelieve to be a reaction to endogenous substance ,metallic,or other allergic sensitisation. Features:-1. Lesions preceded by a feeling of itching and burning several hours before the onset.2. Lesions begins over the side of fingers as tiny deep seated vesicles with a sago grain/tapioca pudding like appearance.3. Common sites:- palms and soles.4. Associated with volar hyperhydrosis . Treatment :-Cold compresses and potent topical steroids- relief from symptoms.Short course of oral steroids- severe episodes. IADVL textbook of dermatology,page 507